The following condition is associated with brown skin pigmentation, hypoplasia of kidney and spleen, absent or hypoplastic thumb or radius, microcephaly and mental and sexual retardation
1. Aplastic Anemia
2. Pernicious Anemia
3. Sickle Cell Anemia
4. Megaloblastic Anemia

Correct answer: 1. Aplastic Anemia